All of the following molecules/enzymes may contribute in generating free oxygen radicals within neutrophils for killing intracellular bacteria, except-
1. Nitric oxide
2. Fenton's reaction
3. NADPH oxidase
4. Catalase

Correct answer: 4. Catalase

Explanation: * Catalase, present in peroxisomes, catalyzes the decomposition of hydrogen peroxide (2H2O2 - O2 + 2H2O). It is one of the most active enzymes known, capable of degrading millions of molecules of H2O2 per second. *iNOS, the type that is involved in microbial killing, is expressed when macrophages are activated by cytokines (e.g., IFN-g)or microbial products, and induces the production of NO.